According to Modified Astler-Collar Classification for colorectal cancer, lymph node invasion with penetration of the entire bowel wall is included in stage:
1. B1
2. B2
3. C1
4. C2

Correct answer: 4. C2

Explanation: Modified Duke's (Modified Astler-Collar) classification Stage Description A Confined to the mucosa B1 Partially penetrated the muscularis propria B2 Fully penetrated the muscularis propria C1 Lymph node invasion without penetration of the entire bowel wall C2 Lymph node invasion with penetration of the entire bowel wall D Distant metastatic disease